Hardness of water has a beneficial effect against which one of the following-
1. Renal diseases
2. Metabolic diseases
3. Cerebrovascular diseases
4. Cardiovascular diseases

Correct answer: 4. Cardiovascular diseases

Explanation: Ans. is 'd' i.e., Cardiovascular disease "Hardness of water appears to have a beneficial effect against cardiovascular disease"